An arteriole with a damaged endothelial cell layer will not:
1. Constrict when intravascular pressure is increased
2. Dilate when adenosine is applied to the vessel wall
3. Constrict in response to norepinephrine
4. Dilate in response to adenosine diphosphate (ADP) or acetylcholine

Correct answer: 4. Dilate in response to adenosine diphosphate (ADP) or acetylcholine

Explanation: Ans. D. Dilate in response to adenosine diphosphate (ADP) or acetylcholineBoth adenosine diphosphate (ADP) and acetylcholine cause the release of NO from endothelial cells. The other choices involve mechanisms that function without endothelial cells.